Koplik's spots are seen in:
1. Typhoid
2. Measles
3. Mumps
4. Polio

Correct answer: 2. Measles

Explanation: Ans. B: Measles Koplik's spots are classically described as being bright red spots with white or bluish-white centers that may resemble grains of sand. They may occur anywhere in the mouth, often precede the generalized exanthem, and are pathognomonic for rubeola (measles).